A 22 year old pregnant lady presents with fever, and is put on antibiotics. Fever is still not brought under control, On further investigation she is diagnosed to have septic pelvic thrombophlebitis. Which among the following is the next coursee of treatment for her?
1. Stop antibiotics and start heparin
2. Antibiotics+Heparin
3. Surgical embolectomy
4. Hysterectomy

Correct answer: 2. Antibiotics+Heparin

Explanation: Antibiotics plus heparin is the next course of treatment amongst the given options. The treatment of septic pelvic thrombophelbitis is broad-spectrum antibiotics plus anticoagulation. Anticoagulation is thought to prevent further thrombosis and reduce the spread of septic emboli. The use of anticoagulation is contraversial as not all clinicians favor it. A small randomized study didnot demonstrate a benefit, however, the study was powered to assess fever resolution only; it did not address the potential benefit of anticoagulation with regard to the risk of thrombus extension, pulmonary embolus or associated thrombophilias. Ref: Online resources